Collapsing glomerulopathy is seen in?
1. Post streptococcal GN
2. HIV
3. IgA nephropathy
4. Tuberculosis

Correct answer: 2. HIV

Explanation: Ans. is 'b' i.e., HIV Collapsing glomerulopathy:* It is a morphological variant of FSGS. Characterized by collapse and sclerosis of the entire glomerular tuft in addition to the usual FSGS lesions. A characteristic feature is proliferation and hypertrophy of glomerular visceral epithelial cells (podocytes). There is prominent tubular injury with formation of microcystes. It is the most characteristic lesion of HIV nephropathy.